On postmortem examination, contusion of neck muscles is seen along with fracture of hyoid bone. The most probable cause of death is:
1. Smothering
2. Mugging
3. Burking
4. Throttling

Correct answer: 4. Throttling

Explanation: Frequency of hyoid bone fracture : Throttling (maximum)Q***> Hanging (more than 40 years of age) > ligature strangulation Characteristic features of throttling : Fracture of hyoid bone (greater cornu)Q Crescentic finger nail marksQ Fingertip bruises(six penny bruise)Q